The amount of blood lossduring each menstrual period is about :
1. 10 cc
2. 35 cc
3. 50 cc
4. 100 cc

Correct answer: 2. 35 cc

Explanation: 35 cc